Vit k helps in gamma-carboxylation of following AA
1. Glutamate
2. Aspartate
3. Glycine
4. Alanine

Correct answer: 1. Glutamate

Explanation: Vitamin k plays a role in gama carboxylation of glutamate containing proteins It is a posttransilational modification Ref:Guyton and Hall textbook of medical physiology 12th edition,page number: 20,21,22